Endemic typhus is transmitted by :
1. Rat-flea
2. Mite
3. Tick
4. None of the above

Correct answer: 1. Rat-flea

Explanation: Endemic typhus is is caused by Rickettsia typhi and is transmitted to humans by the rat flea Xenopsylla cheopis. When the flea bites humans it defecates and the organism enter through the bite wound into the blood. After an incubation period of 1-2 weeks patients gets headache, fever and myalgia. They develop a maculopapular rash which starts on the trunk and spreads to the extremities. Epidemic Louse-Borne Typhus Fever is caused by Rickettsia prowazekii, and is transmitted to humans by the body louse. Scrub typhus is caused by Orientia tsutsugamushi a rickettsial organism. It is transmitted by rodent mite larvae. Ref: Ray C.G., Ryan K.J. (2010). Chapter 40. Rickettsia, Ehrlichia, Coxiella, and Bartonella. In C.G. Ray, K.J. Ryan (Eds), Sherris Medical Microbiology, 5e.